'Which of the following is NOT used in treatment of hairy cell leukemia:
1. Steroid
2. Pentostatin
3. Splenectomy
4. Alpha-interferon

Correct answer: 1. Steroid

Explanation: Answer is A (Steroid) Steroid has no role in treatment of hairy cell leukemia. Cladribine is the drug of choice. Clinical complete remissions with cladribine occur in majority of patients and longterm disease free survival is frequent. Treatment of hairy cell leukemia is chemotherapy with Cladribine : Drug of choice. Alpha-interferon Q PentostatinQ